The total volume of CSF in an adult is about -
1. 100-150 ml
2. 300-350 ml
3. 500-550 ml
4. 600-650 ml

Correct answer: 1. 100-150 ml

Explanation: Ans. is 'a' i.e., 100-150 ml o The major source of CSF is the choroidal plexus of all 4 ventricles, mainly in two lateral ventricles, o Other sources of CSF are ependymal cells of the ventricles and the brain itself, via perivascular spaces, o The total volume of CSF in an adult is about 125-150 ml. o The rate of formation of CSF is about 500-550 ml/day. Thus the CSF is replaced 3-4 times every day.